Fracture at the angle of mandible most commonly involves which tooth?
1. Second premolar
2. First molar
3. Incisor
4. Third molars

Correct answer: 4. Third molars

Explanation: Ans. is 'd' i.e., Third molars * The most common teeth involved in fracture of angle of mandible are the third molars.